A 46-year-old woman with severe asthma presents with increasing weight and back pain for 9 months. The patient is taking corticosteroids for her asthma. An X-ray of the vertebrae will likely reveal which of the following pathologic findings?
1. Bone infarct
2. Dislocation
3. Osteomalacia
4. Osteoporosis

Correct answer: 4. Osteoporosis

Explanation: - Long-term administration of corticosteroids causes: | bone resorption | bone formation -Osteoporosis. - 20% of patients with Cushing syndrome suffer compression fractures of vertebrae. - Osteomalacia (choice C) usually reflects abnormalities of vitamin D metabolism and features inadequate mineralization of newly formed bone.